Myasthenia gravis is caused by dysfunction of -
1. Pineal gland
2. Thymus gland
3. Pituitary gland
4. Parathyroid gland

Correct answer: 2. Thymus gland

Explanation: Ans. is 'b' i.e., Thymus gland o Thymus is believed to play an important role in autoimmune dysfunction in myasthenia gravis.o Myasthenia gravis is a disease of the neuromuscular junction in which antibodies are formed against the nicotinic Ach receptors. The thymus is an important site for immune function and myasthenia gravis probably originates in the thymus gland. Myasthenia gravis patients have high incidence of thymic abnormalities.